Kussmaul's sign is seen in all except
1. Constrictive Pericarditis
2. Restrictive Cardiomyopathy
3. Tricuspid stenosis
4. Cardiac tamponade

Correct answer: 4. Cardiac tamponade

Explanation: Kussmaul's sign is absent in Cardiac tamponade.